Which of the following cells are more abundant in chronic inflammation than in acute inflammation?
1. Plasma cells
2. Eosinophils
3. Neutrophils
4. Normoblasts

Correct answer: 1. Plasma cells